A 4 year old girl has developed painful elbow after being jerked by forearm is it managed
1. Reassure the parents and Analgesics
2. Supinate the forearm
3. Elevate the limb
4. Open reduction to be done

Correct answer: 2. Supinate the forearm

Explanation: Is the case of pulled elbow.
Managed by quickly supinating the forearm.